In conversion disorder, all are found except -
1. Jealousy
2. Paralysis
3. Anaesthesia
4. Abnormal gait

Correct answer: 1. Jealousy

Explanation: Sensory:- Anesthesia, paresthesia, hemianesthesia, deafness, blindness, tubular vision.
Motor:- Abnormal movement, paralysis, weakness, gait disturbances, aphonia, torticollis, opisthotonus, blepharospasm.